Disulfiram is a type of
1. Aversion therapy
2. Anticraving therapy
3. Detoxification
4. Opioid management therapy

Correct answer: 1. Aversion therapy

Explanation: Disulfiram inhibits Aldehyde dehyrogenase enzyme and leads to accumulation of Acetaldehyde resulting in aversive symptoms.